Hoffmann's elimination is ?
1. Inactivation of drug by metabolizing enzyme
2. Unchanged excretion by kidney
3. Excretion in feces
4. Inactivation by molecular rearrangement

Correct answer: 4. Inactivation by molecular rearrangement

Explanation: Ans. is 'd' i.e., Inactivation by molecular rearrangement Hofmann elimination This refers to inactivation of the drug in the body fluids by spontaneous molecular rearrangement without the agency of any enzyme. Atracurium is eliminated by this method.